Absolute contraindication of extraction of tooth related to the fracture line:
1. Tooth related to pericoronitis
2. Tooth interfere with reduction of fracture.
3. Avulsed tooth.
4. None of the above.

Correct answer: 4. None of the above.